Structure without any membrane is
1. Mitochondria
2. Nucleus
3. Nucleolus
4. Endoplasmic reticulum

Correct answer: 3. Nucleolus

Explanation: Nucleolus is present in nucleus. Theirfunction is to produce ribosome. They are not enclosed by a membrane and contain proteins, DNA, RNA. (REF TEXTBOOK OF MEDICAL PHYSIOLOGY GEETHA N 2 EDITION, PAGE NO - 11)